Hypertension is seen with all except
1. Erythropoietin
2. Cyclosporine
3. NSAID
4. Levodopa

Correct answer: 4. Levodopa

Explanation: levodopa Drug causing hypertension * Cocaine * MAO Inhibitors * Cyclosporine * Glucocorticoids * Oral contraceptives * Tricyclic antidepressants * NSAID, Rofecoxib * Sympathomimetics Ibuprofen, Naproxen * Clonidine withdrawl * Decongestants (pseuodephedrine) * Erytlu-opoietin Drugs causing hypotension * Theophylline * Adenosine * Morphine * Quinidine * Fosphenytoin * Amiodarone * 1L-2 * Guanethidine * Alphablockers * Beta blockers (i.v.) * Bretylium * Chlorpromazine * Glyceryltrinitrate * Clonidine * Diuretics * Calcium channel blockers